Weil's disease is caused by:
1. Leptospira
2. Listeria
3. Mycoplasma
4. Legionella

Correct answer: 1. Leptospira

Explanation: Ans. is 'a' i.e., Leptospira (Ref: Harrison, 18th/e, p. 1394 ,17th/e, p. 1050 and 19th/e, p. 1132; Ananthanarayan, 9th/e, p. 370)* Leptospirosis - Sewer worker disease, Weil's disease or Icterohemorrhagic fever (jaundice + fever).